All of the following vaccines are recommended for elderly travelers, Except -
1. Influenza
2. Pneumococcal
3. Tetanus
4. Measles

Correct answer: 4. Measles